Causes of Nephrogenic Diabetes Insipidus all except
1. Sheehan's syndrome
2. Amyloidosis
3. Polycystic kidney Disease
4. Lithium

Correct answer: 1. Sheehan's syndrome

Explanation: (A) Sheehan's syndrome# Causes of NEPHROGENIC DIABETES INSIPIDUS:> Hereditary: This form of Dl can also be hereditary due to defects in either of the following genes AVPR2 and AQP2.> Acquired: Nephrogenic Dl (NDI) is most common in its acquired forms, meaning that the defect was not present at birth. These acquired forms have numerous potential causes. The most obvious cause is a kidney or systemic disorder, including amyloidosis, polycystic kidney disease, electrolyte imbalance, or some other kidney defect.> Major causes of acquired NDI that produce clinical symptoms (e.g. polyuria) in the adult are lithium toxicity and high blood calcium.> Chronic lithium ingestion - appears to affect the tubules by entering the collecting tubule cells through sodium channels, accumulating and interfering with the normal response to ADH (ADH resistance) in a mechanism that is not yet fully understood.> High blood calcium causes natriuresis (increased sodium loss in the urine) and water diuresis, in part by its effect through the calcium-sensing receptor (CaSR).> Osmotic:> Other causes of acquired NDI include: low blood potassium, post-obstructive polyuria, sickle cell disease/trait, amyloidosis, Sjogren syndrome, renal cystic disease, Bartter syndrome, and various medications (Amphotericin B, Orlistat, Ifosfamide, Ofloxacin, Cidofovir, Vaptanes).> In addition to kidney and systemic disorders, nephrogenic Dl can present itself as a side-effect to some medications. The most common and well known of these medications is lithium, although there are many other medications that cause this effect with lesser frequency.